Same aminoacid is coded by multiple codons due to following
1. Degeneracy
2. Frame-shift mutation
3. Transcription
4. Mutation

Correct answer: 1. Degeneracy